Graves disease is an example of which type of Immunologic response?
1. Type I
2. Type II
3. Type III
4. Type IV

Correct answer: 2. Type II

Explanation: Graves disease is a type II hypersensitivity reaction. This type of hypersensitivity reaction is initiated by IgG antibodies that react either with the cell surface or tissue antigen. Most patients possess antibodies to thyroglobulin. The immunological basis is supported by idethe notification of the long-acting thyroid stimulator which is an IgG antibody to thyroid membrane antigen. Reference : Anathanarayan & paniker's 9th edition, pg no: 180,162